Strabismic amblyopia is more common in patients with:
1. Intermittent squint
2. Alternate squint
3. Constant squint
4. Latent squint

Correct answer: 3. Constant squint

Explanation: Paralytic Squint (Incomitant): * Due to complete or partial palsy of one of the nerves t at supp y * . * Here, the angle of direction of gaze, being maximal in the direction of action of the weak muscle. Eg.: - Oculomotor Palsy -> - Abducens Palsy - Trochlear Palsy Latent Strabismus / tga.Ua o It is a condition in which the tendency of the eyes to deviate is kept latent by fusion. Therefore, when the influence of fusion is removed the visual axis of one eye deviates away. L Types L 1. Esophoria- It is a tendency to converge. L 2. Exophoria- It is a tendency to diverge. L 3. Hyperphoria- It is a tendency to deviate upwards, while hypophoria is a tendency to deviate downwards. L 4. Cyclophoria- It is a tendency to rotate around the anteroposterior axis. When the 12 O&;clock meridian of cornea rotates nasally, it is called incyclophoria and when it rotates temporally it is called excyclophoria. Constant squint Least common - alternate squint. Ref: AK khurana 7th ed.